All of the following statements are true about theophylline except -
1. Increase in dose is required in cardiopulmonary disease
2. Increases cAMP
3. Increase in dose is required in smokers
4. Inhibits phosphodiesterase

Correct answer: 1. Increase in dose is required in cardiopulmonary disease

Explanation: Ans. is 'a' i.e., Increase in dose is required in Cardiopulmonary disease o Pneumonia and CHF (Cardiopulmonary disease) require dose reduction (not increased dose). o Other options are correct.